May thurner or cockett syndrome involves
1. Common iliac artery obstruction
2. Internal iliac artery obstruction
3. Internal iliac vein obstruction
4. Left iliac vein compression

Correct answer: 4. Left iliac vein compression

Explanation: May-Thurner syndrome -- also called iliocaval compression syndrome and Cockett syndrome or iliac vein compression syndrome -- occurs secondary to compression of the left iliac vein by the overriding right iliac artery.The sustained compression and trauma caused by the pulsatile force of the artery on the vein damage the intima and lead to the formation of membranes or bands in the vascular lumen that hinder or obstruct the flow of blood in the vein, favoring thrombus formation. The current treatment strategy of choice is endovascular vein patch angioplasty and stenting with the aim of improving the caliber of the lumen and enabling normal venous drainage